After dentinogenesis nutrition of ameloblast is derived from
1. Stellate reticulum
2. Dental Papilla
3. Dental sac
4. None of the above

Correct answer: 3. Dental sac